In a patient who has come for dental extraction, having asthma,is on theophyllin you better avoid
1. Lignocaine
2. Azithromycin
3. Ciprofloxacin
4. Metronidazole

Correct answer: 3. Ciprofloxacin